Which of the following conditions will influence the diagnostic quality of x-rays?
1. kVp
2. Milliampere-seconds
3. Filtration
4. All of the above

Correct answer: 4. All of the above

Explanation: The three main conditions that will influence the diagnostic quality of  X-rays are kVp, milliampere - seconds and filtration. Consistent radiographs require same image quality which in turn depend on these three factors.